Most malignant tumor of salivary glands ?
1. Pleomorphic adenoma
2. Warthin tumor
3. Adenoid cystic carcinoma
4. Acinic cell tumor

Correct answer: 3. Adenoid cystic carcinoma

Explanation: Ans. is 'c' i.e., Adenoid cystic carcinoma "Adenoid cystic carcinoma has been described as one of the most biologically aggressive and destructive malignant neoplasms, presenting a tendency for local recurrance and late distant metastasis throughout the course of disease." The adenoid cystic carcinoma, adenocarcinoma, squamous cell carcinoma and undifferentiated carcinoma are all agggressive malignant tumors that carry a poor prognosis regardless of treatment. The acinic cell carcinoma and the mucoepidermoid carcinoma, although undoubtedly malignant tumors with a potential for local invasion and metastatic spread, are frequently very low grade histologically and do not require the radical treatment needed for more aggressive tumors. Cysadenolymphoma (Warthin's tumor) is a benign tumor.